The infectivity of a patient with diphtheria is ?
1. Till cough subsides
2. Till patient is febrile
3. Life long
4. For 15 days after infection

Correct answer: 4. For 15 days after infection

Explanation: Ans. is 'd' i.e., For 15 days after infection o The period of infectivity may vary from 14 to 28 days from the onset of the disease, but carriers may remain infective for much longer period. o A case or carrier may be considered non-communicable when at least 2 cultures properly obtained from nose and throat, 24 hours apart, are negative for diphtheria bacilli.